The ratio of skeletal: dental expansion obtained finally after Rapid palatal expansion is:
1. 4:01
2. 3:01
3. 2:01
4. 1:01

Correct answer: 4. 1:01